Which of the following agent is used in day care surgery?
1. Propofol
2. Thiopentone
3. Ketamine
4. Diazepam

Correct answer: 1. Propofol

Explanation: Ans. a. Propofol (Ref: Miller's Anesthesia 8/e p726; Lee 13/e p158-160; Morgan 3/e 173, 884)Propofol is used in day care surgery.'Any induction agents used in day-case anesthesia should ensure a smooth induction, good immediate recovery and a rapid return to street fitness. Propofol is now used widely as the primary induction agent, which has advantage of rapid recovery and low incidence of post-operative nausea and vomiting.'Preferable agents in Day Care AnaesthesiaMivacuriumQ (muscle relaxant of choice, shortest duration of action)SuccinylchoIineQ (for Ultra short period of profound muscle relaxation: Disadvantage: Post-operative myalgia)lsofluraneQ (volatile inhalational agent)AlfentanylQPropofolQ (inducing agent of choice)MidazolamQ (for initial anaxiolysis and sedation)Mnemonic: Manmohan Singh Is A Prime Minister